When hypothyroidism is caused by pituitary dysfunction (Central hypothyroidism), the following profile is present
1. Goitre present, raised TSH, low T3, T4
2. No goitre, reduced TSH, low T3, T4
3. No goitre, raised TSH, low T3, T4
4. Goitre present, reduced TSH, low T3, T4

Correct answer: 2. No goitre, reduced TSH, low T3, T4